Rate at which plasma is cleared of solute free water is known as:
1. Free water clearance
2. Bound water clearance
3. Water clearance rate
4. Solute level clearance

Correct answer: 1. Free water clearance

Explanation: Free Water Clearance: 

Is regulated by ADH. 
It is the rate at which plasma is cleared of solute free water.

​Free-water clearance (CH20) is calculated as the difference between water excretion (urine flow rate) and osmolar clearance: